All are true about Botulinum toxin except?
1. Diplopia
2. Dysarthria
3. Increase DTR
4. Constipation

Correct answer: 3. Increase DTR

Explanation: Botulinum toxin - action on parasympathetic nervous system Clinical feature 1. Diplopia 2. Dysphagia 3. Dysarthria 4. | DTR ( Deep tendon reflexes) 5. Only food poisoning where constipation occur ( because of action | ACH )